A 30 year old patient presented with history of jaundice for 10 days. His liver function tests showed bilirubin of 10 mg/dl, SGOT/SGPT - 1100/1450, serum alkaline phosphatase - 240 LU. He was positive for Hbs Ag. What should be the confirmatory test to estabilish acute hepatitis B infection -
1. Ig M anti-HBc antibody
2. Hbe Ag
3. HBV DNV by PCR
4. Anti-HBc antibody

Correct answer: 1. Ig M anti-HBc antibody

Explanation: Ans. is 'a' i.e., Ig M anti-HBc antibody . Has been explained . Ig M anti-HBc antibody is the marker of acute or recent HBV infection.